Short chain fatty acid produced by bacteria are maximally absorbed in :
1. Duodenum
2. Colon
3. Ileum
4. Jejunum

Correct answer: 2. Colon

Explanation: B i.e. Colon Major fat absorption takes place in upper small intestine except (mainly jejunum & duodenum) short chain fatty acids which is absorbed in colon0. Normal fecal fat excretion is less than 6gm/day, more than 6gm/day indicates malabsorptionQ. Steatorrhea is defined as stool fat > 7gm/dayQ. Daily fecal fat averages 15-25gm/d with small intestinal disease & exceeds 40gm /d with pancreatic exocrine insufficiency Evaluation of fat malabsorption: